Vitamin that acts as reducing agent ?
1. Vitamin D
2. Vitamin B12
3. Vitamin B1
4. Vitamin C

Correct answer: 4. Vitamin C

Explanation: Ans. is 'd' i.e., Vitamin C